Psychodynamic theory of mental illness is based on:
1. Unconscious internal conflict
2. Maladjusted reinforcement
3. Organic neurological problem
4. Focuses on teaching patients to restrain absurd thoughts

Correct answer: 1. Unconscious internal conflict

Explanation: Psychodynamic (or psychoanalytic) theory stresses that unconscious memories and conflicts are responsible for development of psychiatric disorders. The "conflict" may be between different parts of mind such as id and ego or ego and superego. Psychodynamic psychotherapy is also known as insight-oriented or expressive psychotherapy, and its more structured form is known as psychoanalysis. * It can be brief or time limited, but it is usually open-ended and done in a longterm setting. * Sessions usually take place one or two times per week, with the patient being encouraged to speak about "whatever comes to mind." * The goal of psychodynamic psychotherapy is to recognize, interpret, and work through unconscious thoughts and urges that are maladaptive to develop more mature defense mechanisms.